Best medium to estimate time since death:
1. Blood
2. Vitreous humor
3. CSF
4. Pericardial fluid

Correct answer: 2. Vitreous humor

Explanation: Ans. Vitreous humor